Maximum maternal mortality during peripartum period occurs at -
1. Last trimester
2. During labor
3. Immediate post-partum
4. Delayed post-partum

Correct answer: 3. Immediate post-partum

Explanation: Ans. is 'c' i.e., Immediate post-partum o Studies show that mortality risks for mother are particularly elevated in the first two days after birth, i.e. immediate post-partum period. o A women is most vulnearble at post-partum period. About 50-70% maternal death occuring in the post-partum period of which 45% deaths occur in first 24 hours after delivery and more than two-third druing the first week.